False about Reactive arthritis
1. Precipitated by chlamydia
2. Enthesitis of Achilles tendon
3. Acute purulent arthritis
4. Indomethacin is the initial treatment of choice

Correct answer: 3. Acute purulent arthritis

Explanation: Reactive arthritis show acute non-Purulent arthritis.